Ascorbic acid:
1. Is a reducing agent
2. Decrease iron absorption
3. Is harmless in high doses
4. Is required for lysyl oxidase

Correct answer: 1. Is a reducing agent